When can a child kick a ball?
1. 12 months
2. 18 months
3. 24 months
4. 36 months

Correct answer: 3. 24 months

Explanation: c. 24 months(Ref: Illingworth's normal and abnormal child)A child can run and kick a ball at 2 years age and can go upstairs and downstairs 2 feet/step.